Which among the following is the least common cause of infective endocarditis?
1. ASD
2. MS
3. VSD
4. AR

Correct answer: 1. ASD

Explanation: Among the following, ASD is the least common cause of infective endocarditis. Here the low turbulence is responsible for decreased incidence of IE.